Earliest change in diabetic retinopathy is
1. Hyaloid change
2. Hard exudate
3. Microaneurysms and pin point haemorrhages
4. Vitreous haemorrhage

Correct answer: 3. Microaneurysms and pin point haemorrhages

Explanation: (C) Microaneurysms and pin point haemorrhages # Non-proliferative diabetic retinopathy (NPDR)> Ophthalmoscopic features of NPDR include: Microaneurysms in the macular area*(the earliest detectable lesion). Retinal haemorrhages both deep (dot and blot haemorrhages) and superficial haemorrhages (flame-shaped). Hard exudates -yellowish-white waxy-looking patches are arranged in clumps or in circinate pattern. These are commonly seen in the macular area. Retinal oedema characterised by retinal thickening. Cotton-wool spots (if>8, there is high risk of developing PDR). Venous abnormalities, beading, looping and dilatation. Intraretinal microvascular abnormalities (IRMA). Dark-blot haemorrhages representing haemorrhagic retinal infarcts.